According to recent SC judgment, doctor can be charged for medical negligence under 304-A, only if:
1. He is from corporate hospital
2. Negligence is from inadvertent error
3. Simple negligence
4. Gross negligence

Correct answer: 4. Gross negligence

Explanation: Ans. Gross negligence